Which one of the following drugs is `Topoisomerase 1 inhibitor ?
1. Doxorubicin
2. Irinotecan
3. Etoposide
4. Vincristine

Correct answer: 2. Irinotecan

Explanation: Ans. is 'b' i.e., Irinotecan Topoisomerase I inhibitors --> camptothecans (Irinotecan, tropotecan). Topoisomerase II inhibitors Anthracyclines (doxorubicin, daunorubicin) and Epipodophyllotoxin (Etoposid, teniposide).